AH of the following are true about lymphocyte depletion variety of HL except:
1. Least common
2. CD 20 expression
3. CD 15 & CD 30 expression
4. Pleomorphic RS cell

Correct answer: 2. CD 20 expression

Explanation: Ans: b (CD 20 expression) Ref: Robbins, 7th ed, p. 688CD20 expression is classical of lymphocyte predominant variety of HL and not lymphocyte depletion variety.L & H variant is seen in lymphocyte predominant variety of HL and it classically expresses CD20 and germinal centre transcription factor BCL 6.HODGKIN LYMPHOMA (REAL CLASSIFICATION)|||Classical subtypes1) Nodular sclerosis2) Mixed cellularity3) Lymphocyte rich4) Lymphocyte depletionLymphocyte predominance(Distinct immunophenotype) SubtypesMorphologyImmunophenotypeNodular sclerosisLacunar variantsOccasional RS cellsCD 15 (+), CD 30(+)Mixed cellularityMononuclear variantRS cells (+)CD 15(+),CD 30(+)Lymphocyte richMononuclear variantRS cells (+)CD 15(+),CD 30(+)Lymphocyte depletionReticular variant(Pleomorphic variant)CD 15(+),CD 30(+)LymphocytepredominanceL&H (Popcorn cells)CD20 (+)CD 15(-),CD 30(-)